ANUG is caused by
1. Borrelia vincenti and fusobacterium
2. Actinomycetam comitans
3. Actinomyces nausetadii
4. Streptococcus mutans

Correct answer: 1. Borrelia vincenti and fusobacterium